The composition of breast milk varies at different points of lactation to suit the baby's needs. Which statement is not true about breast milk composition?
1. Preterm milk has more proteins
2. Mature milk is thicker with all the essential nutrients for growth
3. Foremilk is watery and is rich in proteins and sugar
4. Hindmilk is richer in fat and provides more energy

Correct answer: 2. Mature milk is thicker with all the essential nutrients for growth

Explanation: Mature milk is thinner (not thicker) with all essential nutrients for growth. Colostrum In initial 3 to 4 days Small quantity, thick, and yellow in color Large amount of antibodies, immune component cells; and vitamin A,D,E and K Transitional milk: Secreted after 3 to 4 days until 2 weeks Immunoglobulin and protein content decreases, while the fat and sugar content increases. Mature Milk: Follows transitional milk Thinner and more watery Contains all the nutrients essential for optimal growth of the baby Foremilk: Secreted at the start of the feed Watery and rich in proteins, sugar, vitamins, minerals, and water that quenches the baby's thirst Hind milk: Comes towards the end of the feed Provides more energy and sense of satiety and it is richer in fat. Preterm milk: Milk of mother who delivers before 37 weeks Contains more proteins, sodium, iron, immunoglobulins, and calories as per requirement of the preterm infant. Ref : Ghai Essential pediatrics 9th edition Pgno: 147